Which is indicative of rain drop pigmentation?
1. Mercury poisoning
2. Cadmium poisoning
3. Antimony poisoning
4. Arsenic poisoning

Correct answer: 4. Arsenic poisoning

Explanation: Ans. (d) Arsenic poisoning.